All are indications of elective ERCP with sphincterotomy in acute pancreatitis, except:
1. Incipient biliary obstruction
2. Those who are poor candidates for cholecystectomy in biliary pancreatitis
3. Bile duct stones after cholecystectomy
4. Walled off pancreatic necrosis

Correct answer: 4. Walled off pancreatic necrosis

Explanation: Elective ERCP with sphincterotomy is considered in patients with persistent / incipient biliary obstruction, those who are poor candidates for cholecystectomy, and for those in whom there is strong suspicion for bile duct stones after cholecystectomy. ERCP with stent placement is indicated for pancreatic ductal disruptions. Reference: Harrisons Principles of Internal Medicine, 18th Edition, Page 2640